Which of the following is True regarding intraocular retinoblastoma?
1. 60% are familial and the rest about 40% occur sporadically.
2. Leukocoria or yellowish-white pupillary reflex is 2nd commonest presenting feature.
3. ICRB is presently being followed to decide the treatment modality
4. All of the above

Correct answer: 3. ICRB is presently being followed to decide the treatment modality

Explanation: Retinoblastoma MC ocular tumor of childhood. 40% are hereditary, aka Germline retinoblastoma. B/L, multifocal, earlier presentation 60% are non hereditary or sporadic U/L, later presentation C/F: Leucocoria(Amaurotic cat's eye pupil)- MC presentation Strabismus(2nd MC) Neo vascular glaucoma(3rd MC) International classification of retinoblastoma (ICRB), which is presently being followed worldwide to decide the treatment modality.